True about the basic structure of atherosclerosis plaque is -
1. Concave part formed by fibrous cap
2. Convex part formed by tunica media of the vessel
3. Convex part formed by fibrous cap
4. Necrotic core contains collagen, elastin and proteoglycans

Correct answer: 3. Convex part formed by fibrous cap

Explanation: Ans, is 'c' i.e., Convex part formed by fibrous cap Basic structure of an atherosclerotic plaque. Note that atherosclerosis is an intimal-based processFrom the figure it is evident thato The convex part is formed by the fibrous cap. which consists of smooth muscle cells, macrophages, foam cells, lymphocytes, collagen, elastin and proteoglycans.o The central necrotic core is formed of cell debris, cholesterol crystals, foam cells and calcium,o The concave part is formed by the tunica media of the vessel.